Hydatidiform mole is principally a disease of:
1. Amnion
2. Chorion
3. Uterus
4. Decidua

Correct answer: 2. Chorion

Explanation: Ans. is b, i.e. ChorionRef. Dutta 7/e, p 190Now don't tell me you want me to explain this--H mole is a benign neoplasm of chorion with malignant potential